Cystic fibrosis is due to mutation long arm of chromosome?
1. 7
2. 9
3. 11
4. 21

Correct answer: 1. 7

Explanation: Robbins and Cotran pathologic basis of disease South Asia edition the primary defect in cystic fibrosiscresults from abnormal function of an epithelial chloride channel protein encoded by the cystic fibrosis trans membrane conductance regulator gene (CFTR) on chromosome 7q 31.2..